Sunset sign is seen in
1. Optic neuritis
2. Hydrocephalus
3. Thyroid ophthalmopathy
4. Orbital cellulitis

Correct answer: 2. Hydrocephalus

Explanation: Answer- B. HydrocephalusSun set sign: The scleraa revisible between theupper eyelid and their is, Sun setting sign is seen usually in hydrocephalus due to loss of upward conjugate gaze caused by raised intracranial pressure (ICP).